Cell involved in immunity against parasitic infection:
1. Neutrophil
2. Eosinophil
3. Basophil
4. Lymphocyte

Correct answer: 2. Eosinophil

Explanation: Ans: b (Eosinophil )Ref: Robbins, 7th ed, p. 205Eosinophils are involved ina) Type 1 HS reaction by IgEb) Parasitic infections> Major chemokines for eosinophilic recruitment - eotaxin, IL5> Major basic protein - A cationic protein in eosinophils that is toxic to parasites.